A 20 year old female presents with a blood pressure of 160/110 mm Hg. Clinical examination reveals a bruit in both flanks. Which of the following statements about this patient is not true
1. Enalapril may deteriorate renal function
2. Most definitive diagnostic procedure is contrast enhanced angiography
3. Condition is nearly always bilateral
4. Surgical intervention may be used

Correct answer: 3. Condition is nearly always bilateral

Explanation: Answer is C (Condition is nearly always bilateral) Presence of hypertension (BP = 160 / 110) and bruit in bilateral flanks suggest a diagnosis of Bilateral Renal Artery Stenosis in this patient. Renal Artery Stenosis is bilateral in 50% of cases and is not nearly always bilateral ACE inhibitors (eg Enalapril) may deteriorate renal function in patients with Bilateral Renal Artery Stenosis ACEinhibitors (eg Enalapril) arc the agents of choice for treatment of hypertension in patients with unilateral renal artery stenosis, but are contraindicated in patients with bilateral disease. The presence of bruit in both flanks suggest bilateral disease in this patient and hence enalapril should not he used Contrast Enhanced Arteriography (Angiography) is the most definitive diagnostic procedure for the diagnosis of Renal Artery stenosis while Magnetic Resonance Angiography (MRA) is the most sensitive and specific non invasive test (screening test) for its diagnosis. Fibromuscular dysplasia is the most common cause of Renal Artery stenosis in young women while Atherosclerotic disease is the most common cause in middle aged/ elderly patients. The patient in question is a young female (20 years) and hence the most likely cause of Renal Artery stenosis in this patient is libromuscular dysplasia Surgical Intervention may be required in patients with Bilateral Renal Artery Stenosis Surgical intervention in the form of angioplasty and stent placement is indicated when medical therapy has failed to control BP or resulted in > 30% increase in serum creatinine. Renal Artery Stenosis: Review * Renal Artery stenosis is an important cause of Renovascular Hypertension * Bilateral involvement is seen in half of the affected cases (50%) Etiology * Atherosclerotic disease : This is the most common cause in middle aged /elderly patients * Fibromuscular Dysplasia : This is the most important cause in young females Presentation * Hypertension - Abrupt onset of hypertension - Acceleration of previously well controlled hypertension - Refractory Hypertension * Features of increased sympathetic neural activity (which is associated with Renovascular disease) - Flushing - Loss of nocturnal BP decrease - Putonomic instability - Rapid BP swings * Progressive Renal failure / Azotemia Diagnosis Magnetic Resonance Angiography (MRA) Contrast Enhanced Arteriography MRA is the most sensitive (>90%) and specific (95%) non invasive test for the diagnosis of RAS Contrast enhanced angiography is the most definitive (but invasive) diagnostic procedure for diagnosis of RAS Management Medical Therapy with ACE Inhibitors or Angiotensin Receptor Blockers Indications Contra indications Unilateral Renal artery Stenosis Bilateral Renal Artery stenosis - With hypertension & normal renal function ACE inhibitors or Angiotensin receptor blockers (more effective than other antihypertensives) are contraindicated in patients with Bilateral renal - With hypertension & abnormal renal function artery stenosis or stenosis in a solitary kidney as (beneficial effect on survival without affecting renal function) their use in such patients leads to worsening of - With hypertension, diabetes, proteinuria and normal or renal failure abnormal renal function (effective antihypertensives) (These patients are especially sensitive to decline in intraglomerular pressure) Note Acute Renal Failure / Worsening of Renal Failure with Angiotension Receptor Inhibitors is a diagnostic clue to the diagnosis of renal artery stenosis (indicates bilateral disease) Surgical Therapy with Angioplasty + Stent placement Should be considered only after optimal medical therapy has jailed to achieve goal BP or resulted in a > 30% increase in serum creatinine